Prothrombin time is prolonged in all of the following
except:
1. Liver disease
2. Disseminated intravascular coagulation
3. Warfarin therapy
4. Von-Willebrand's disease

Correct answer: 4. Von-Willebrand's disease